The basis of Korotkoff sound is
1. Aortic valve closure
2. Production of heart sound
3. Arterial turbulence
4. Arterial valve expansion

Correct answer: 3. Arterial turbulence

Explanation: The sounds of Korotkoff are produced by turbulent flow in the brachial artery. When the artery is narrowed by the cuff, the velocity of flow through the constriction exceeds the critical velocity and turbulent flow results.